Herring Breuer reflex is an increase in
1. Duration of inspiration
2. Duration of expiration
3. Depth of inspiration
4. Depth of expiration

Correct answer: 2. Duration of expiration

Explanation: The Hering-Breuer inflation reflex, named for Josef Breuer and Ewald Hering, is a reflex triggered to prevent over-inflation of the lung. Pulmonary stretch receptors present on the wall of bronchi and bronchioles of the airways respond to excessive stretching of the lung during large inspirations. Ref: guyton and hall textbook of medical physiology 12 edition page number:365,366,367